Azygos lobe is found
1. Heart
2. Spleen
3. Lung
4. Pancreas

Correct answer: 3. Lung

Explanation: Azygous lobe is seen in lungs . Ref - BDC 6thedi vol 1 pg236